All are true regarding Reiter's syndrome, except -
1. Interstitial lung disease
2. Conjunctivitis
3. Occurs after sexual contact
4. Ulcers on palm and sole

Correct answer: 1. Interstitial lung disease